Kayser - Fleischer rings (KF ring) are seen in
1. Pterygium
2. Hematochromatosis
3. Wilson's disease
4. Menke's kinked hair syndrome

Correct answer: 3. Wilson's disease

Explanation: C i.e. Wilson's disease